Long term use of pethidine is avoided because a metabolite of pcthidine is associated with:
1. Constipation
2. Dependence
3. Seizures
4. Respiratory depression

Correct answer: 3. Seizures

Explanation: (Ref: KDT 6/e p459) Pethidine is mainly metabolized by hydrolysis to meperidinic acid but a minor pathway of metabolism involving methylation to nor-pethidine is also present. In overdose of pethidine, this minor pathway assumes importance and there is accumulation of nor-pethidine. This compound possesses excitatory properties and can lead to tremors, mydriasis, delirium, myoclonus and convulsions.